The lower angle of scapula lies at the level of?
1. T5
2. T6
3. T7
4. T8

Correct answer: 3. T7

Explanation: The root of the spine of the scapula is on a level with the tip of the spinous process of the third thoracic vertebra, and the inferior angle with that of the seventh. Landmarks and internal structures found at various vertebral levels. Thoracic Vertebral LevelLandmarkInternal SignificanceT1Sternoclavicular jointHighest point of apex of lung.T1-2Superior angle of the scapula T2Jugular notch T3Root of spine of scapula T4Sternal angle (of louis)Division between superior and inferior mediastinumAscending aorta endsArch of aorta begins and endsTrachea ends and primary bronchi beginsT7Inferior angle of scapula T8 Caval hiatus of diaphragm:Inferior vena cavaRight phrenic nerveT10 Esophageal hiatus of the diaphragm:EsophagusVagal trunkT12 Aortic Hiatus of the diaphragm:AortaThoracic duct andAzygos and hemiazygos veinsLower border of T12 Celiac trunk